Anti- GQ1b antibodies are positive in more than 90% cases of
1. Acute inflammatory demyelinating polyneuropathy (AIDP)
2. Acute motor axonal neuropathy(AMAN)
3. Acute motor sensory axonal neuropathy(AMSAN)
4. Miller fisher syndrome

Correct answer: 4. Miller fisher syndrome

Explanation: Anti - GQ1b antibody is found in miller fisher syndrome , a variety of Guillain Barre syndrome.